Stability of the ankle joints is provided by the following ligaments except
1. Close apposition of articular surfaces of bones
2. Tendons of muscles crossing the joint
3. Posterior tibofibular ligament
4. Cruciate ligament

Correct answer: 4. Cruciate ligament

Explanation: Ankle joint is stabilized by the following factors: Close apposition of articular surfaces of bones Tendons of muscles crossing the joint Ligaments like collateral ligaments and distal tibio-fibular ligaments Gravity and ground reaction forces provide dynamic stability. Cruciate ligaments are present in the knee and not the ankle joint . Ref - BDC 6the vol 2 page 147